Aflatoxin B is associated with which malignancy?
1. Liver
2. Lung
3. Kidney
4. Stomach

Correct answer: 1. Liver

Explanation: Ans: a (Liver) Ref: Robbins, 7th ed, p. 34Hepatocellular CaMore common in males60 - 90% asso.with cirrhosis liverRisk Factors:1. Hepatitis B& C2. Alcoholic liver disease3. Food contamination (Aflatoxins)4. Tyrosinaemia5. Hereditary haemochromatosis6. Liver diseases like - Primary biliary cirrhosis, a 1 antitrypsin deficiencyHepatocellular carcinoma in patients with or without chronic infection with hepatitis B infection is associated with the ingestion of fungal metastatic Aflatoxin B1, in certain areas of the world like Qiding province of China and The Gambia in Africa.In the regions where aflatoxin B1 exposure is high p53 mutations are present. The characteristic mutation is G: C - T: A transversion in codon 249 called 249 ser p53 mutations.